Beryllium exposure is associated with-
1. Pulmonary fibrosis
2. Granulomatous lung disease
3. Lung cancer
4. Chronic bronchitis

Correct answer: 2. Granulomatous lung disease